The procedure that should precede microlaryngoscopy is:
1. Pharyngoscopy
2. Esophagoscopy
3. Rhinoscopy
4. Laryngoendoscopy

Correct answer: 4. Laryngoendoscopy

Explanation: Microlaryngoscopy concentrates mainly on the glottic area in cases where the diagnosis is already established and unlike direct laryngoscopy, is not primarily concerned with other areas of larynx which should have been assessed preoperatively.